The headquarters of UNICEF is situated at:
1. Geneva
2. London
3. New York
4. Washington DC

Correct answer: 3. New York